All of the following are topically used sulphonamides except:
1. Sulphacetamide
2. Sulphadiazine
3. Silver sulphadiazine
4. Mafenide

Correct answer: 2. Sulphadiazine